Troglitazone is the drug used in the treatment of:
1. Type 2 diabetes mellitus
2. Petit mal epilepsy
3. Hyperlipidaemia
4. Osteoporosis

Correct answer: 1. Type 2 diabetes mellitus

Explanation: Troglitazone

As a Monotherapy, it is not useful in Type 1 diabetes because it needs the presence of insulin for its action.
Troglitazone is withdrawn from the market because it is known to cause severe fatal hepatic failure.
The newer thiazolidinediones like Pioglitazone and rosiglitazone are known to cause CHF as a result of fluid retention.
Rosiglitazone is found to be associated with increased risk of cardiovascular events.
Pioglitazone can reduce the TG levels by 10- 15% because of its action on PPARA.